The most common tumor of the cerebellopontine angle is -
1. Meningioma
2. Acoustic neuroma
3. Neurofiroma
4. None of the above

Correct answer: 2. Acoustic neuroma

Explanation: Ans. is 'b' i.e., Acoustic neuroma Acoustic Neuromao Acoustic neuroma (vestibular schwannoma) is the most common lesion of the Cerebello Pontine Angle (C P Angle).o These lesions may be entirely intracanalicular or both intracanalicular and cisternal.o MRI is the imaging modality of choice to evaluate these tumors, clearly delineating the location and extent of disease.o The typical acoustic neuroma is isointense on both T1W and T2W MRI sequences, and enhances densely following contrast administration.o Far less common than acoustic neuroma, but the second most common CPA mass, is the meningioma